Mc naughten's rule refers to :
1. Person is not responsible if he is not of a sound mind
2. Person is held responsible even if he is not of sound mind
3. Person is always held responsible
4. Any of the above

Correct answer: 1. Person is not responsible if he is not of a sound mind

Explanation: A i.e. Person is not responsible if he is not of a sound mind